In which of the following conditions gingivectomy is contraindicated:
1. Gingival sulcus beyond mucogingival junction
2. Enlargement of the gingiva
3. Papillary enlargement.
4. Enlargement due to acute systemic disease

Correct answer: 1. Gingival sulcus beyond mucogingival junction